Fastest microbiocidal agent against M.leprae -
1. Clofazimine
2. Dapsone
3. Rifampicin
4. Minocycline

Correct answer: 3. Rifampicin